All of the following decrease AV conduction EXCEPT:
1. Esmolol
2. Digitalis
3. Lignocaine
4. Verapamil

Correct answer: 3. Lignocaine